Indications for use of antibiotics in acute diarrhea include (select three options):
1. Febrile dysentery with fever 38.5
2. Immunocompromised patient
3. Elderly patient
4. All

Correct answer: 4. All

Explanation: Answer is A, B, and C (Febrile dysentery with fever 38.5; Immunocompromised patient; Elderly patient): Antibiotic coverage is indicated whether or not a causative organism is discovered in patients who are immuncompromized, have mechanical heart valves or recent vascular grafts or are elderly. Emperical antibiotic treatment should also be started in moderately to severely ill patients with febrile dysentery specially when fever 38.5degC Indications for Antibiotic coverage Patients who are immuno compromised2 Patients with mechanical heart valves0 Patients with recent vascular grafisQ Patients who are elderlvQ Moderately to severely ill patients with fibrile dysenttyQ (Grossly bloody stools and fever 38.5degC) Increased fecal WBCS